Artery deep to Pterion?
1. Frontal artery
2. Temporal artery
3. Middle meningeal artery
4. Parietal artery

Correct answer: 3. Middle meningeal artery

Explanation: The pterion is the region where the frontal, parietal, temporal, and sphenoid bones join together. It is located on the side of the skull, just behind the temple. Artery crossing behind it is Middle meningeal artery. Injury at this site can lead to EDH.